Posterior communicating artery is branch of
1. Internal carotid artery
2. External carotid artery
3. Middle cerebral artery
4. Posterior cerebral artery

Correct answer: 1. Internal carotid artery

Explanation: Posterior communicating artery arises close to the termination of internal carotid artery. Other branches of cerebral part internal carotid artery are: Ophthalmic artery Anterior cerebral artery Middle cerebral artery Anterior choroidal artery Posterior cerebral artery is a branch of basilar artery. (Ref: Vishram Singh textbook of clinical neuroanatomy 2nd edition, pg- 176)